Antibody dependent killing:
1. NK cell
2. NK cell only
3. Macrophage
4. NK cells, neutrophils & macrophage

Correct answer: 4. NK cells, neutrophils & macrophage

Explanation: Antibodies coat the target cell and target cell will be attacked by phagocytic cells such as:- Neutrophils Macrophages The NK cells. It forms the basis for type II Hypersensitivity reaction